Which of the following statement regarding Gastrochisis is TRUE?
1. Herniation occur through umbilical cord
2. Herniation from right of umbilical cord from obliteration of right umbilical vein
3. Covered with amniotic sac
4. Associated with multiple anomalies

Correct answer: 2. Herniation from right of umbilical cord from obliteration of right umbilical vein

Explanation: Gastrochisis is an abdominal wall defect located at the junction of the umbilicus and normal skin and is almost right of the umbilicus. It is a congenital anomaly characterized by a defect in the anterior abdominal wall through which the intestinal contents protrude freely. There is no overlying sac and the size of the defect is much small (less than 4cm). If the intestine appears normal that suggests that rupture had occurred late in pregnancy. If the intestine appear thickened, edematous, discoloured and covered with exudate it indicates a long standing process. Ref:Schwartz's Principles of Surgery, 9e chapter 39.